A screening test for phenylketonuria (PKU) is performed on umbilical cord blood from a fair-skinned blond, blue-eyed infant born to dark-complexioned parents. The test is reported as negative, and no dietary restrictions are imposed. At 1 year of age, the child is seen again, this time with obvious signs of severe intellectual disability, and a diagnosis of PKU is made. The diagnosis was missed at birth because
1. cord blood is not a good source of fetal blood.
2. the screening (Guthrie) test has low sensitivity.
3. the test should have been performed on maternal blood.
4. the test was performed too early

Correct answer: 4. the test was performed too early

Explanation: The concentration of phenylalanine in affected infants is usually normal at birth and increases rapidly during the first days of life. False-negative results are common immediately after birth but are rare on the second and third days of life. Consequently, the blood sample for phenylketonuria is usually taken from the infant's heel within 2 to 3 days after birth. If the test is performed too early, the diagnosis could be missed.